Lofexidine has been approved recently for the withdrawal of
1. Alcohol
2. Morphine
3. Cocaine
4. Cannabis

Correct answer: 2. Morphine

Explanation: Lofexidine is a first nonopioid approved for the mitigation of withdrawal symptoms to facilitate abrupt discontinuation of opioids in adults. While Lofexidine may lessen the severity of withdrawal symptoms, it may not completely prevent them and is only approved for treatment for up to 14 days.